Hypokalemia is not present in :
1. Vomiting
2. Diarrhoea
3. Patient on diuretics
4. Chronic renal failure

Correct answer: 4. Chronic renal failure